All of the following ossification centers are present at 7 months of intrauterine life except ?
1. Talus
2. Calcaneum
3. Clavicle
4. Olecranon

Correct answer: 4. Olecranon

Explanation: Ans. is 'd' i.e., Olecranon